Which of the following drug is used for the reversal of cerebral vasospasm and infract following subarachnoid hemorrhage
1. Nimodipine
2. Amilodipine
3. Diltiazem
4. Verapamil

Correct answer: 1. Nimodipine

Explanation: Refer katzung 11e p 202 Nimodipine is used to decrease problems due to a certain type of bleeding in the brain (subarachnoid hemorrhage-SAH). Nimodipine is called a calcium channel blocker. The body naturally responds to bleeding by narrowing the blood vessel to slow blood flow.